All are features of Osteogenesis imperfecta except-
1. Blue sclera
2. Multiple #s
3. Cataract
4. Hearing loss

Correct answer: 3. Cataract

Explanation: Multiple fractures, deafness (hearing loss) due to otosclerosis and blue sclera is seen. Cataract is not a feature.